A 2hyr old women who had home delivery 2wks back now presents with complete perineal tear whats the next line of the management
1. repair immediately
2. repair after 3wks
3. repair after 3months
4. repair after 6 months

Correct answer: 3. repair after 3months

Explanation: complete prineal tear <24HRS= Repair immediately >24HRS - schedule after 3months REF : SHAW GYNECOLOGY